Recall bias is more common with -
1. Cohort study
2. Randomized control trial
3. Cross sectional study
4. Case control study

Correct answer: 4. Case control study

Explanation: Ans. is 'd' i.e., Case control Study Recall bias (Memory bias) : o This type of bias may occur when cases and controls are asked to recall certain events, and subjects in one group are more likely to remember the event than those in the other group. o For example people take aspirin commonly and for many reasons, but patients diagnosed as having peptic ulcer disease may recall the ingestion of aspirin in greater accuracy than those without GI problems. Also patients who have had an MI are more likely to recall and remember certain habits (like eating habit) with greater accuracy than those who have not had an MI.